All of the following are associated increased REM latency, except ?
1. First night effect
2. SSRIs
3. Narcolepsy
4. Restless leg syndrome

Correct answer: 3. Narcolepsy

Explanation: Ans. C. NarcolepsyIncreased REM latency -PTSDRestless leg syndrome.First night effectSSRI'sTCA'sEthanolLithium